Proteins whose levels are decreased during inflammation are all except:
1. Albumin
2. Transferrin
3. Antithrombin
4. Mannose binding protein

Correct answer: 4. Mannose binding protein

Explanation: Negative Acute phase reactants - Albumin, transferrin, antithrombin.